Amide-containing amino acid
1. Alanine
2. Leucine
3. Asparagine
4. Serine

Correct answer: 3. Asparagine

Explanation: Anhydrous NH3 may replace alcohol from its combination with an amino acid in an amino acid ester so that an amide of amino acid and a molecule of free alcohol is produced. Asparagine is the amide formed from Aspartic acid.Ref: Textbook of medical biochemistry, MN Chatterji, 8th edition, page no: 80